ICD -11 has 3 volumes plus 26 chapters. Volume 2 contain:-
1. Tabulation list
2. Reference guide
3. Alphabetical index
4. Functional assessment

Correct answer: 2. Reference guide

Explanation: ICD-11 (International Classification of Diseases - 11th Edition, WHO) - Revised every 10 years, right now 11th edition - Released in June 2018 and it contains 3 Volumes & 26 chapters along with chapter X, V. Volume I - Tabulation List Volume II - Reference Guide Volume III- Alphabetical Index - Some important chapters to be remembered: Chapter 6 - Mental behaviour and Neurodevelopmental disorders Chapter 26 - Traditional Medicine Chapter X - Extension codes Chapter V - functional Assessment